All are used for schizophrenia Except
1. Chlorpromazine
2. Clozapine
3. Risperidone
4. Venlafaxine

Correct answer: 4. Venlafaxine

Explanation: Selective serotonin-norepinephrine reuptake inhibitors (SNRIs) include venlafaxine, its metabolite desvenlafaxine, and duloxetine. In addition to their use in major depression, other applications of the SNRIs include the treatment of pain disorders including neuropathies and fibromyalgia. SNRIs are also used in the treatment of generalized anxiety, stress urinary incontinence, and vasomotor symptoms of menopause. chlorpromazine is a type of typical antipsychotic introduced by Delay and Denniker Risperidone is a atypical antipsychotic Clozapine is a second generation antipsychotic used for treatment resistant schizophrenia Clozapine, risperidone are atypical antipsychotic drugs chlorpromazine is a phenothiazine antipsychotic, can be used in schizophrenia Reference: Kaplon and sadock, 11 th edition, synopsis of psychiatry, 11 th edition, pg no. 1010